In a woman presenting with amenorrhea headache, blurred vision and galactorrhea appropriate investigation :
1. Prolactin levels
2. LH
3. FSH
4. HCG

Correct answer: 1. Prolactin levels

Explanation: Ans. is a i.e. Prolactin level A woman presenting with headache, blurred vision and galactorrhea, raises the suspicion of a pituitary tumor and so, appropriate investigations would be : S. prolactin (most important)deg TSH (as patients with hypothyroidism have elevated TRH which acts to stimulate the release of prolactin) X Ray skulldeg (shows space occupying lesion) MRIdeg Contrast enhanced CT.deg Also know : Amenorrhea associated with elevated prolactin levels is due to prolactin inhibition of the pulsatile secretion of GnRH.